Umami taste is due to:
1. Glutamate
2. B. Sodium
3. H+
4. K+

Correct answer: 1. Glutamate

Explanation: Ans. A. Glutamatea. Umami is one of the five basic tastes, together with sweet, sour, bitter and salty. The human tongue has receptors for L-glutamate, which is the source of umami flavor.b. Saltiness is a taste produced primarily by the presence of sodium ionsc. Sourness is the taste that detects acidity.d. Sweetness is produced by the presence of sugars and a few other substances. Sweetness is often connected to aldehydes and ketones, which contain a carbonyl group. Sweetness is detected by a variety of G protein coupled receptors coupled to the G protein gustducin found on the taste buds.